Which of the following statements about Cefepime is true
1. It is a 4th generation cephalosporin
2. Once a day dosing is given
3. It is not active against pseudomonas
4. It is a prodrug

Correct answer: 1. It is a 4th generation cephalosporin

Explanation: Refer Goodman Gilman 12th/1498 Cefepime is 4th generation cephalosporin with good activity against pseudomonas. It is given 8-12 hourly